The gold standard for the diagnosis of osteoporosis is -
1. Dual energy X-ray absorptiometry
2. Single energy X-ray absorptiometry
3. Ultrasound
4. Quantitative computed tomography

Correct answer: 1. Dual energy X-ray absorptiometry

Explanation: According to the osteoporosis guidelines for diagnosis and treatment, dual X-ray absorptiometry (DXA) represents the "gold standard" for diagnosis of osteoporosis and fracture risk prediction.